Stapler used for MIPH -
1. Linear cutting stapler
2. Circular cutting stapler
3. Linear stapler
4. Circular stapler

Correct answer: 2. Circular cutting stapler

Explanation: Ans. is 'b' i.e., Circular cutting stapler Procedure for prolapse and hemorrhoides (PPH) -- aka MIPH -- aka stapled hemorrhoidectomy --o Minimally invasive proctoscopic hemorrhoidectomy -# In this procudure, a circular cutting stapler (PPH3) is used to excise a short. Circumferential segment of rectal mucosa proximal to dentate line, thus ligating venules feeding the hemorrhoides.